Maternal antibodies do not occur for?
1. Polio
2. Diphtheria
3. Whooping cough
4. Tetanus

Correct answer: 3. Whooping cough

Explanation: Infants are susceptible to pertussis infection from birth because maternal antibody does not appear to give them protection. Reference:Park's textbook of preventive and social medicine,K.Park,23rd edition,page no:164.